Salivary centers are located in
1. Spinal cord
2. Medulla
3. Hypothalamus
4. Cerebellum

Correct answer: 2. Medulla

Explanation: The salivatory nuclei are located approximately at the juncture of the medulla and pons and are excited by both taste and tactile stimuli from the tongue and other areas of the mouth and pharynx. The salivary glands are controlled mainly by parasympathetic nervous signals all the way from the superior and inferior salivatory nuclei in the brain stem. Salivation can also be stimulated or inhibited by nervous signals arriving in the salivatory nuclei from higher centres of the central nervous system.Ref: Guyton and Hall textbook of medical physiology.